Hormones secreted by kidney
1. Erythropoietin
2. Aldosterone
3. Vasopressin
4. Angiotensin

Correct answer: 1. Erythropoietin

Explanation: The kidneys produce three hormones: 1,25-dihydroxycholecalciferol, renin, and erythropoietin.Ref: Ganong's Review of Medical Physiology, 23rd edition, page no: 670